Earliest histological change in MI ?
1. Macrophage infiltration
2. Neutrophilic infiltration
3. Waviness of fibers
4. Coagulative necrosis

Correct answer: 3. Waviness of fibers

Explanation: Ans. is 'c' i.e., Waviness